Joule burn is seen in:
1. Blast injuries
2. Electrocution
3. Firearm wounds
4. Lightning stroke

Correct answer: 2. Electrocution

Explanation: Ans. Electrocution